Most common nerve in the neck from which schwanoma arises -
1. Trigeminal
2. Accessory
3. Hypoglossal
4. Vagus nerve

Correct answer: 4. Vagus nerve

Explanation: Ans. is 'd' i.e., Vagus o Most common nerve from which schwannomas arise is eighth cranial nerve. o The fifth cranial nerve is the second most frequent site. o At both these sites tumors is intradural (not in Neck) o Out side the dura Shwannomas are most commonly found with large nerve trunks, where motor and sensory modalities are mixed (eg. Vagus nerve).